Withdrawal bleeding following administration of progestogen in a case of secondary amenorrhoea indicates all except:
1. Absence of pregnancy
2. Production of endogenous estrogen,
3. Endometrium is responsive to estrogen
4. Defect in pituitary gonadal axis

Correct answer: 4. Defect in pituitary gonadal axis